C-reactive proteins are -a) Alpha-1 globulinb) Beta-1 globulinc) Alpha-2 globulind) Non-specific inflammatory protein
1. bd
2. d
3. ab
4. ac

Correct answer: 1. bd